All of the following are characterized by trinucleotide repeat affecting the job coding regions except
1. Friedrich ataxia
2. Fragile X syndrome
3. Huntington disease
4. Myotonic dystrophy

Correct answer: 3. Huntington disease

Explanation: ref Robbins 9/e p168 Huntington disease is characterized by trinucleotide repeat affecting the coding region.rest all conditions mentioned in the options affects the non coding regions